Which of the following markers is specific for gastrointestinal stromal tumor (GIST):
1. CD 117
2. CD 34
3. CD123
4. S-100

Correct answer: 1. CD 117

Explanation: Ans. (a) CD 117(Ref: Robbins 9th/pg 775; 8th/pg 789)Most useful diagnostic marker is c-kit (CD117) detectable in 95% of the patients.